TRUE about normal curve is all, EXCEPT:
1. Bell shaped
2. Symmetrical about the mean
3. Mean, mode and median coincides
4. Value of mean is 1

Correct answer: 4. Value of mean is 1

Explanation: Normal or Gaussian distribution has the following features: Bell shaped Symmetrical about the mean Mean, mode and median coincides Ref: Medical biostatistics, 1st edition pg: 126